Nerve compressed in Guyon's canal is:
1. Median and ulnar
2. Median
3. Ulnar
4. Radial

Correct answer: 3. Ulnar

Explanation: Ans. C i.e. Ulnar